Protrusion of mandible is due to which of the following muscle?
1. Serratus anterior
2. Pectoralis major
3. Pectoralis minor
4. Lateral pterygoid

Correct answer: 4. Lateral pterygoid

Explanation: Lateral pterygoid helps in protrusion and depression on mandible.